In Endodontics Endotec is used
1. with lateral condensation and heated gutta percha
2. with cold lateral compaction
3. with vertical compaction
4. with Chloro Percha Technique

Correct answer: 1. with lateral condensation and heated gutta percha